Singnet ring in an ovarian tumour is characteristic of :
1. Krukenberg's tumour
2. Dysgerminoma
3. Granulosa cell carcinoma
4. Papillary cysatadenocarcinoma

Correct answer: 1. Krukenberg's tumour

Explanation: Krukenberg's tumour